Yoke muscle of right lateral rectus:
1. Lt medial rectus
2. Lt superior rectus
3. Lt lateral rectus
4. Lt inferior oblique

Correct answer: 1. Lt medial rectus

Explanation: Contralaterally paired extraocular muscles that work synergistically to direct the gaze in a given direction. * For example, in directing the gaze to the right, the right lateral rectus and left medial rectus operate together as yoke muscles. REF : AK KHURANA 7TH ED